Drug stimulating 5HT4 receptors to act as prokinetic agents are all of the following Except:
1. Renzapride
2. Metoclopramide
3. Domperidone
4. Cisapride

Correct answer: 3. Domperidone

Explanation: domperidone it is a D2 receptor antagonist ESSENTIALS OF MEDICAL PHARMACOLOGY SEVENTH EDITION KD TRIPATHI PG NO.666